The clearance of drug means-
1. Unit volume of plasma which is cleared off drug in a unit of time
2. Amount of drug excreted in urine
3. Amout of drug metabolised in unit of time
4. All of the above

Correct answer: 1. Unit volume of plasma which is cleared off drug in a unit of time

Explanation: Ans. is 'a' i.e., Unit volume of plasma which is cleared off drug in a unit of time The clearance of a drug is the theoretical volume of plasma from which the drug is completely removed in unit time.